Left vertricular hypertrophy is not a feature of
1. Mitral regurgitation
2. Isolated mitral stenosis
3. Isolated ventricular septal defect
4. Aortic stenosis

Correct answer: 2. Isolated mitral stenosis